the value between ist pentile and 4th pentile includes
1. 20%
2. 40%
3. 60%
4. 80%

Correct answer: 3. 60%

Explanation: Pentile divides the whole set of values into 5 equal parts Each with 20% P1= 20%:80% P2= 40%:60% P3= 60%:40% P4= 80%:20% So, between P1 and P4 : 80%-20% = 60%